Paralytic ileus is characterized by all except?
1. No bowel sound on auscultation
2. No passage of flatus
3. Gas filled loops of intestine with multiple fluid levels
4. Loops of intestine are not seen d/t loss of peristalis

Correct answer: 4. Loops of intestine are not seen d/t loss of peristalis

Explanation: Ans. is 'd' i.e., Loops of intestine are not seen d/t loss of peristalsis